Apple jelly nodules on diascopy shown below are seen in?
1. Scrofuloderma
2. Lupus vulgaris
3. Lichen scrofulosorum
4. Tuberculosis verrucosa cutis

Correct answer: 2. Lupus vulgaris

Explanation: Lupus vulgaris is the most common type of cutaneous TB. Presence of apple jelly nodules at the edge of a plaque. Apple jelly nodules on diascopy- erythematous lesions will turn from pink to golden brown. They do not exhibit this color on Indian skin. In European cases the lesions occur on face particularly about the nose and on the cheek with frequent involvement of the mucous membrane of then nose and the lips. In India, buttocks, thighs, and legs are common site of involvement. These nodules are not invariably found in all cases and their presence is not pathognomonic of lupus vulgaris.